In AIDS, kaposi sarcoma may respond to
1. Interleuldn- 2 infusion
2. Azathioprine
3. Alpha interferon
4. Any of the above

Correct answer: 3. Alpha interferon